Doppelganger is-
1. Shadow following person
2. Feeling of double of oneself
3. Indentification of stranger as familiar
4. None of the above

Correct answer: 2. Feeling of double of oneself

Explanation: Ans. is `b' i.e., Feeling of double of oneself Doppelgangers (subjective double) is the delusion that there is double of oneself. A person feels that double of himself exists elswhere.